Non parametric test used to compare the medians of two independent samples:
1. t-test
2. Chi square test
3. Mann Whitney U test
4. Z test.

Correct answer: 3. Mann Whitney U test